Fick's operation and Cody Tack's procedure is for ?
1. Otosclerosis
2. Meniere's disease
3. Atrophic rhinitis
4. Benign positional paroxysmal vertigo

Correct answer: 2. Meniere's disease

Explanation: Ans. is 'b' i.e., Meniere's disease Meniere's disease Surgical management Surgical therapy for meneire's disease is reserved for medical treatment failures and is otherwise controversial. Surgical procedures can be divided into two main categories Destructive surgical procedures Nondestructive surgical procedures Destructive surgical procedures Labyrinthectomy Intermittent low pressure pulse therapy (Meniett device therapy) Conservative surgical procedures Decompression of endolymphatic sac Endolymphatic shunt operation Sacculotomy (Fick's operation & Cody's tack procedure) Vestibular neuronectomy Ultrasonic destruction of vestibular labyrinth to preserve cochlear function. Stellate ganglion block or cervical sympathectomy Intratympanic gentamycin Vestibular nerve section